Ultra structurally , endothelial cells contain
1. Weibel palade bodies
2. Langerhan's granules
3. Abundant glycogen
4. Kallikrein

Correct answer: 1. Weibel palade bodies

Explanation: ref Robbins 9/e p76 Weibel-Palade bodies (WPBs) are the storage granules of endothelial cells, the cells that form the inner lining of the blood vessels and heart. They store and release two principal molecules, von Willebrand factor and P-selectin, and thus play a dual role in hemostasis and inflammation.